The caries of enamel surface leads to accentuation of?
1. Incremental lines of retzius
2. Perikymata
3. Imbrication lines of pickerill
4. Wickham's striae

Correct answer: 1. Incremental lines of retzius